Fundoscopy of a patient shows chalky white optic disc with well defined margins. Retinal vessels and surrounding Retina appears normal. Which of the following is the most likely diagnosis -
1. Primary Optic Atrophy
2. Post-neuritic secondary optic atrophy
3. Glaucomatous optic atrophy
4. Consecutive optic atrophy

Correct answer: 1. Primary Optic Atrophy

Explanation: Optic atrophy refers to the death of the retinal ganglion cell axons that comprise theoptic nerve with the resulting picture of a pale optic nerve on fundoscopy. Optic atrophy is an end stage that arises from myriad causes of optic nerve damage anywhere along the path from the retina to the lateral geniculate Ref AK khurana 6/e